Patients with 'Hemophilia A' have bleeding disorder because of -
1. Lack of platelet aggregation
2. Lack of reaction accelerator during activation of factor X in coagulation cascade
3. Neutralization of antithrombin III
4. Release of Thromboxane A2

Correct answer: 2. Lack of reaction accelerator during activation of factor X in coagulation cascade